NOT a content of carpal tunnel:-
1. Flexor digitorum superficialis
2. Flexor digitorum profundus
3. Ulnar nerve
4. Median nerve

Correct answer: 3. Ulnar nerve

Explanation: CARPAL TUNNEL:8 carpal bones covered by flexor retinaculum CONTENTS: 9 flexor tendons + median nerve 9 tendons: 4 tendons of flexor digitorumsuperficialis 4 tendons of flexor digitorum profundus 1 tendon of flexor pollicis longus Carpal tunnel syndrome: the overuse of these 9 tendons, causes the inflammation which compresses theMedian nerve causing carpal tunnel syndrome, causing tingling sensation in 3 and 1/2 fingers, including nail beds. Ulnar nerve passes through guyon's canal.